All of the following are the contraindications for the use of progesterone-only pills except-
1. Pregnancy
2. Patient suffering from breast cancer
3. Peripheral vascular disease
4. Diabetes mellitus

Correct answer: 4. Diabetes mellitus

Explanation: Ans. is 'd' i.e., Diabetes mellitus o Contraindications for the use of progesterone-only pills are as follows:PregnancyUnexplained vaginal bleedingRecent breast cancerArterial diseaseThromboembolic disease